All of the following are clinical features seen in Reiter's syndrome, EXCEPT:
1. Subcutaneous nodules
2. Oral ulcers
3. Keratoderma blenorrhagicum
4. Circinate balanitis

Correct answer: 1. Subcutaneous nodules

Explanation: Reactive Arthritis (Reiter Syndrome) is defined by an episode of peripheral arthritis of >1 month's duration occurring in association with urethritis and/or cervicitis. The classic triad is arthritis, urethritis, and conjunctivitis. Frequently accompanied by keratoderma blennorrhagicum, circinate balanitis, conjunctivitis, and stomatitis. Keratoderma blennorrhagicum: brownish-red papules or macules, sometimes topped by vesicles that enlarge; centers of lesions become pustular and/or hyperkeratotic, crusted. Circinate balanitis: shallow erosions with serpiginous, micro pustular borders if uncircumcised; crusted and/or hyperkeratotic plaques if circumcised Ref: Suurmond D. (2009). Section 14. The Skin in Immune, Autoimmune, and Rheumatic Disorders. In D. Suurmond (Ed), Fitzpatrick's Color Atlas & Synopsis of Clinical Dermatology, 6e.